Poor prognostic indicator of Pott's paraplegia
1. Early onset
2. Active disease
3. Healed disease
4. Wet lesion

Correct answer: 3. Healed disease

Explanation: Ans. is 'c' i.e., Healed disease Prognosis of Pott's paraplegia Good Poor Degree Partial (only sensory or motor) Complete paraplegia (grade IV) Duration Shorter Longer (> 12 months) Type Early (acute) onset Late (chronic) onset Speed of onset Slow (insidious) Rapid (sudden) Age Younger Old General condition Good Poor Vertebral disease Active Healed Kyphotic deformity < 600 > 60deg Cord on MRI Normal Myelomalacia or syringomyelia Preoperative Wet lesion Dry lesion